All of the following are causes of normal anion gap acidosis except
1. Diarrhea
2. Hypoaldosteronism
3. Renal tubular acidosis
4. Aspirin overdose

Correct answer: 4. Aspirin overdose

Explanation: Causes of High Anion-Gap Metabolic AcidosisLactic acidosisToxinsKetoacidosisEthylene glycolDiabeticMethanolAlcoholicSalicylatesStarvationPropylene glycolRenal failure (acute and chronic)Pyroglutamic acidCauses of Non-Anion Gap Metabolic acidosisGastrointestinal bicarbonate lossRenal acidosisDiarrhoeaExternal pancreatic or small-bowel drainageUreterosigmoidostomy, jejunal loop, ileal loopDrugsCalcium chloride (acidifying agent)Magnesium sulfate (diarrhoea)Cholestyramine (bile acid diarrhoea)HypokalemiaProximal RTA (type 2)Drug-induced: acetazolamide, topiramateDistal (classic) RTA (type 1)Drug-induced: amphotericin B, ifosfamideHyperkalemiaGeneralized distal nephron dysfunction (type 4 RTA)Mineralocorticoid deficiencyMineralocorticoid resistance (autosomal dominant PHA I)Voltage defect (autosomal dominant PHA I and PHA II)Tubulointerstitial diseaseDrug-induced hyperkalemia (with renal insufficiency)Other causesPotassium-sparing diuretics (amiloride, triamterene, spironolactone)TrimethoprimPentamidineACE-Is and ARBsNonsteroidal anti-inflammatory drugsCyclosporine and tacrolimusAcid loads (ammonium chloride, hyperalimentation)Loss of potential bicarbonate: ketosis with ketone excretionExpansion acidosis (rapid saline administration)HippurateCation exchange resins(Refer: Harrison's Principles of Internal Medicine, 18th edition, pg no: 364-366)